In recent surveillance reports cases of diphtheria are reducing. This is due to -
1. Chemoprophylaxis
2. Improved standard of living
3. Vaccination
4. Health education

Correct answer: 3. Vaccination

Explanation: Ans. is 'c' i.e., Vaccination o The reduced incidence of diphtheria in India is primarily due to the high coverage of appropriate immunization in children and to an apparent reduction in toxin-producing strains of the bacterium.